A child presents with seborrheic dermatits, lytic skull lesions, ear discharge and hepatosplenomegaly, likely diagnosis -
1. Leukemia
2. Lymphoma
3. Histiocytosis X
4. Multiple myeloma

Correct answer: 3. Histiocytosis X